80 years old female after fall developed an inability to walk with external rotation deformity, on examination SLR is not possible and broadening of the GT and lateral border of foot touching the bed. The most probable diagnosis is -
1. # Neck femur
2. # Intertrochanteric femur
3. # Subtrochanteric femur
4. # Greater trochanter

Correct answer: 2. # Intertrochanteric femur

Explanation: It has been explained that external rotation occurs with both neck femur fracture and IT fracture.
However, in this question, one important information has been provided :- Broadening of trochanter.
Broadening of trochanter occurs in IT fracture if the fracture causes split in GT.
In femoral neck fracture trochanters are normal.